All can cause diarrhoea except –
1. Rota virus
2. Calci virus
3. Reo virus
4. Adenovirus

Correct answer: 3. Reo virus